Blood pressure in the right ventricle
1. 25 mmHg
2. 80 mmHg
3. 95 mmHg
4. 120 mmHg

Correct answer: 1. 25 mmHg

Explanation: Right atrium- 2mmHg
Right ventricle- 25mmHg
Pulmonary artery- 25/8 mmHg
Left atrium- 5mmHg
Left ventricle- 120 mmHg
Aorta- 120/80 mmHg